Introns are exised by
1. RNA splicing
2. RNA editing
3. Restriction endonuclease
4. DNAase

Correct answer: 1. RNA splicing

Explanation: Introns are excised by RNA splicing by Sn-RNAs/Snurp.